Apo-E dificiency is seen in
1. Type I hypolipoproteinemis
2. Type II hypolipoproteinemis
3. Type III hypolipoproteinemis
4. Type IV hypolipoproteinemis

Correct answer: 3. Type III hypolipoproteinemis

Explanation: Frederickson's classification of hyperlipoproteinemias Type: Type III Lipoprotein fraction level: Broad beta VLDL and Chylomicrons Metabolic defect: abnormal Apo-E &Apo CII |Ref: DM Vasudevan - Textbook of Biochemistry, 8th edition, page no: 299, Table 25.4